True/false about bone tumours Most common malignant tumour of bone is metastases. Most common primary malignant bone tumour is multiple myeloma Codman triangle is specific for osteosarcoma. IOC for skeletal metastases is CT scan. Blow out bone metastases are seen in renal cell carcinoma.
1. TTFFT
2. FTFFT
3. TTFFF
4. FFFFT

Correct answer: 1. TTFFT

Explanation: Most common malignant tumour of bone is metastases. Most common primary malignant bone tumour is multiple myeloma. Codman triangle is seen in - osteosarcoma, ewing's sarcoma, metastases, GCT etc. IOC for skeletal metastases is bone scan. Blow out bone metastases is seen in RCC, thyroid ca, HCC.